At what time is the crown completed for the tooth indicated?
1. Primary maxillary central incisor, 3 weeks.
2. Permanent maxillary central incisor, 2 to 3 years.
3. Primary maxillary lateral incisor, 2 to 3 months.
4. Permanent maxillary lateral incisor, 2 to 3 years.

Correct answer: 3. Primary maxillary lateral incisor, 2 to 3 months.

Explanation: The correct answer for A would be about 1.5 months or 6 weeks; B, About 4 to 5 years; C, About 2.5 months or 10 weeks; D, About 4 to 5 years.